Vasodilation in spider naevi is due to aEUR'
1. Hepatotoxin
2. Estrogen
3. Testosterone
4. DHEA

Correct answer: 2. Estrogen

Explanation: Estrogen